Cogwheel type of rigidity is seen in one of the following:
1. Parkinsonism
2. Multiple scelerosis
3. Motor neuron disease
4. Tabesdorsalis

Correct answer: 1. Parkinsonism